Methods to measure error of refraction are all except?
1. Retinoscopy
2. Refractometry
3. Keratometry
4. Binocular balancing

Correct answer: 4. Binocular balancing

Explanation: Ans. is 'd' i.e., Binocular balancing Refraction The procedure of determining and correcting refractive errors is termed as refraction. The refraction comprises two complementary methods : ? Objective methods These are used to measure the error of refraction. These tests are :- Retinoscopy Keratometry Refractometry Subjective refraction Subjective refraction is meant for finding out the most suitable lenses to be prescribed. The proper subjective refraction includes three steps. Subjective verification of refraction Subjective refining of refraction Subjective binocular balancing